Role of 2,3 DPG in haemoglobin is
1. Unloading oxygen to tissue
2. Increased affinity for oxygen
3. Buffering capacity
4. Osmotic fragility

Correct answer: 1. Unloading oxygen to tissue